HER-2/neu gene causes breast carcinoma due to?
1. Overexpression
2. Suppression
3. Mutation
4. Translocation

Correct answer: 1. Overexpression

Explanation: Ans is 'a' i.e. Overexpression o HER2 (from human epidermal growth factor receptor 2) or HER2/neu or ERBB2 gene which encodes for Receptortyrosine-protein kinase erbB-2, also known as CD340, is a member of the human epidermal growth factor receptor (HER/EGFR/ERBB) family. Amplification or over-expression of this oncogene has been shown to play an important role in the development and progression of certain aggressive types of breast cancer, o Other cancers associated with this gene ovarian cancer, lung cancer, stomach cancer & oral cancer.CategoryProtooncogeneMode of ActivationAssociated Human TumorGrowth EaPSMS. PDGF-b chainSISOverexpressionAstrocytomaOsteosarcomaFibroblast growth factorsHST-11NT-2OverexpressionAmplificationStomach cancerBladder cancerBreast cancerMelanomaTGFaTGFaOverexpressionAstrocytomasHepatocellular carcinomasHGFHGFOverexpressionThyroid cancerGrowth factor receptors EGF-receptor familyERB-B1 (ECFR) ERB-B2OverexpressionAmplificationSquamous cell carcinoma of lung, gliomas Breast and ovarian cancersCSF-1 receptorFMSPoint mutationLeukemiaReceptor for neurotrophic factorsRETPoint mutationMultiple endocrine neoplasia 2A and B, medullary thyroid carcinomasPDGF receptorPDGF-ROverexpressionGliomasReceptor for stem cell (steel) factorC-K1TPoint mutationGastrointestinal stromal tumors, testicular seminoma, melanoma, AMLProteins Involved in Sienal Transduction GTP-bindingK-RASH-RASN-RASPoint mutationPoint mutationPoint mutationColon, lung, and pancreatic tumorsBladder and kidney tumorsMelanomas, hematologic malignanciesNonreceptor tyrosine kinaseABLTranslocationChronic myeloid leukemiaAcute lymphoblastic leukemiaRAS signal transduction WNT signal transductionBRAFb-cateninPoint mutationPoint mutationOverexpressionMelanomasHepatoblastomas, hepatocellular carcinomaNuclear Regulatory Proteins Transcriptional activatorsC-MYCN-MYCTranslocationAmplificationBurkitt lymphomaNeuroblastoma, small cell carcinoma of lung L-MYCAmplificationSmall cell carcinoma of lungCell-Cycle Regulators CyclinsCYCLINDTranslocationAmplificationMantle cell lymphoma Breast and esophageal cancers CYCLINEOverexpressionBreast cancerCyclin-dependent kinaseCDK4Amplification or point mutationGlioblastoma, melanoma, sarcoma